Thrombocytopenia due to increased platelet destruction is seen in:
1. Aplastic anemia
2. Cancer chemotherapy
3. Acute leukemia
4. Systemic lupus erythematosus

Correct answer: 4. Systemic lupus erythematosus

Explanation: Systemic lupus erythematosus